Dry ice is
1. Frozen CO2
2. 1,1,2,2 tetra fluoro ethylene
3. Ethyl fluoride
4. DichLoroDifluoro methane

Correct answer: 1. Frozen CO2